C-Carbohydrate in Streptococcus hemolyticus is important for:
1. Lancefield classification
2. Phagocytic inhibition
3. Toxin production
4. Haemolysis

Correct answer: 1. Lancefield classification

Explanation: Ans. is 'a' i.e Lancefield classification Hemolytic Streptococci were classified by Lancefield, serologically into groups based on the nature of carbohydrate C antigen on the cell wallThese are known as Lancefield groups. Twenty of these have been classified from A-V without I and J.The other component of the streptococcal cell wall that are antigenic areM-Protein -It is the major virulence factor for the group A streptococcus. It inhibitsActivation of complementsPhagocytosis of the organism.Group A Streptococcus are further classified on the basis of M-protein. (approx. 80 serotypes based on M protein)T -Protein - No relation to virulenceR -Protein - No relation to virulence.